Dystrophic calcification is seen in which of the following conditions?
1. Myositis ossificans
2. Paget's disease
3. Metastasis
4. Sarcoidosis

Correct answer: 1. Myositis ossificans

Explanation: DYSTROPHIC CALCIFICATION METASTATIC CALCIFICATION Seen in Dead/Degenerative tissue Seen in Living tissue Affected Patients will have normal serum Ca2+ Affected Patients will have Hypercalcemia Causes of dystrophic calcification TB Chronic abscess Infarcts Atherosclerosis Hematoma Tumors like meningioma,mesothelioma Myositis ossificans Psammoma bodies Causes of metastatic calcification Hyperparathyroidism Parathyroid adenoma Hypervitaminosis D Rickets Seen in:- RHD Atherosclerosis Papillary carcinoma of thyroid, ovary, salivary gland Myositis ossificans, Meningioma Seen in:- Hyperparathyroidism Vit D Intoxication SarcoidosisMilk alkali syndrome Metastasis (Multiple myeloma) Myositis ossificans: It's a type of connective tissue metaplasia. It is seen after a traumatic injury. Due to the presence of degenerative muscle tissue, patient is going to have dystrophic calcification. Metastasis and sarcoidosis both undergo Metastatic calcification, there is increased serum Ca2+ seen in both the conditions.